True regarding FTD are all except:
1. Semantic dementia
2. Nonfluent aphasia
3. Apathetic, disinhibited personality
4. Rapid onset static course

Correct answer: 4. Rapid onset static course

Explanation: The frontotemporal dementias have a progressive course and not static course. It is usually of early onset ( 45 -65 yrs) Patient presents with behavioral symptoms with relative preservation of memory. It has three distinctive clinical presentations- Frontal variant Semantic dementia Progressive Non fluent aphasia